In Eukaryotes, mRNA is produced by
1. RNA Polymerase I
2. RNA Polymerase II
3. RNA Polymerase III
4. RNA Polymerase IV

Correct answer: 2. RNA Polymerase II

Explanation: There is only 1 RNA polymerase in prokaryotes. There are 3 eukaryotic RNA polymerases Type Location RNA transcribed Effect of a-amanitin I Nucleolous 18, 5.8, 28 rRNA Insensitive II Nucleoplasm mRNA, miRNA, snRNA Highly sensitive III Nucleoplasm tRNA, 5s rRNA , U6 snRNA Less sensitive